Neurofibromatosis, type 1 patient is at increased risk of developing which of the following malignant neoplasms?
1. Ganglioneuroma
2. Glioblastoma multiforme
3. Neurofibrosarcoma
4. Serous cystadenocarcinoma

Correct answer: 3. Neurofibrosarcoma

Explanation: Neurofibromatosis type 1 (NF1), Appearance of a neurofibrosarcoma in a neurofibroma. Neurofibrosarcoma, also known as peripheral nerve sheath tumor, is a malignant tumor that develops in the cells surrounding the peripheral nerves. NF1 also associated with neurogenic tumors, including meningioma, optic glioma, and pheochromocytoma.